An 8-yr old child comes to your clinic with large front teeth having jagged margins, what is the treatment plan for this patient?
1. Smoothen the jagged margins and apply fluoride varnish
2. Build up other teeth to large size
3. Extraction of big teeth
4. Assure him and send him back

Correct answer: 4. Assure him and send him back